Virus lacking hemagglutinin and nuraminidase but have membrane fusion protein is:
1. RSV
2. CMV
3. HSV
4. Ebestein Barr virs

Correct answer: 1. RSV

Explanation: Ans. a. RSV